All these structures are found in the lateral nasal wall except -
1. Superior Turbinate
2. Vomer
3. Agger nasi
4. Hasner's valve

Correct answer: 2. Vomer

Explanation: Vomer bone forms the medial wall (nasal septum), and not the lateral wall of nasal cavity.
All other options are part of lateral nasal wall :- Superior turbinate; Agger nasi (an elevation anterior to middle turbinate); and Hasner's valve (a mucosal flap closing the opening of nasolacrimal duct into the inferior meatus).